Range of PQLT is from-
1. -1 to +1
2. 0 to 1
3. 0 to 100
4. None

Correct answer: 3. 0 to 100

Explanation: Ans. is 'c' i.e., 0 to 100 * Physical quality of life index consolidates three indicatorsi) Literacy rateii) Infant mortality rateiii) Life expectancy at age 1 year (LE)* For each component, the performance of individual counteries is placed on a scale of O to 100, where 0 represents an absolutely defined worst performance and 100 represents an absolutely defined best performance.* The composite index is calculated by averaging the three indicators, giving equal weight to each of them.* The resulting PQLI thus also is scaled 0 to 100.